Drug not acting on tubulin is :
1. Bleomycin
2. Colchicine
3. Paclitaxel
4. Vincristine

Correct answer: 1. Bleomycin